Lines of Blaschko represent –
1. Lines along lymphatics
2. Lines along blood vessels
3. Lines along nerves
4. Lines of development

Correct answer: 4. Lines of development

Explanation: Lines of Blaschko represent non random lines of development of skin.